Postmortem examination stomach incision done after:
1. Double ligation
2. Single ligation
3. Cut open
4. Triple ligation

Correct answer: 1. Double ligation

Explanation: Ans. a. Double ligationTwo ligatures are applied at the cardiac end of the esophagus and two ligatures below the pyloric end of the stomach.The stomach is removed by cutting between the double ligatures at both ends and is opened along the greater curvature.